Zenker's diverticulum is called as
1. Prepharyngeal diverticulum
2. Pharyngobasilar diverticulum
3. Pharyngotympanic diverticulum
4. Hypopharyngeal diverticulum

Correct answer: 4. Hypopharyngeal diverticulum

Explanation: Ans. is 'd' i.e., Hypopharyngeal diverticulum Hypopharyngeal diverticulum or Zenker's diverticulum or pharyngeal pouchIt is a pulsion diverticulum where pharyngeal musoca herniates through the killian's dehiscence, a weak area between two parts of the inferior constrictor.It is the most common esophageal diverticulum.The diverticula arises posteriorly in the midline of neck. The mouth of the diverticula is in the midline but the sacprojects laterally (usually left laterally )Zenker's diverticula are rarely seen below 30 yrs of age, most patients are over 50.